Time of Flight technique is employed in –
1. Spiral CT
2. MR imaging
3. CT angiography
4. Digital radiography

Correct answer: 2. MR imaging

Explanation: 'Time of flight (TOF)' technique is employed in magnetic resonance angiography (MR angiography).